A 15-year-old girl is taken to see a physician because of a sore throat. An antibiotic is prescribed that can enter most tissues of the body but cannot penetrate the blood-brain barrier. The blood-brain barrier can be attributed primarily to which cell type?
1. Astrocyte
2. Endothelial cell
3. Glial cell
4. Macrophage

Correct answer: 2. Endothelial cell

Explanation: The endothelial cells lining all blood vessels in the brain constitute the blood-brain barrier. Tight junctions between endothelial cells forms blood-brain barrier. The purpose of the blood-brain barrier is to protect the chemical environment of the brain from rapid changes in composition that occur normally in the rest of the body fluids.